The' Japanese Detergent suicide Technique' involves mixing of common household chemical to produce -
1. H2S and other poisonous gases
2. Deadly foam
3. Deadly acidic compound
4. Deadly fluid cyanide compound

Correct answer: 1. H2S and other poisonous gases

Explanation: Decay of organic sulfur-containing products such as fish, manure, sewage, septic tank contents, etc. It is produced by bacterial action on sewage effluents containing sulfurcompounds when oxygen has been consumed by excessive organic loading of surface water ("sewer gas"). REF;THE SYNOPSIS OF FORENSIC MEDICINE:KS NARAYANA REDDY;28th EDITION;PAGE NO 360